Cyanide is toxic because it
1. Inhibits cytochrome oxidase
2. Forms cyan meth Hb
3. Inhibits ATP carrier in mitochondria
4. Inhibits Na-K-ATP ase

Correct answer: 1. Inhibits cytochrome oxidase

Explanation: Site-III (Complex IV) (CYTOCHROME OXIDASE ) * Cyanide Blocks electron transfer from cyt b to c1 Inhibits terminal * H2S * Azide transfer of electrons to molecular O2 * Co (Carbon monoxide): Inhibits Cyt. oxidase by combining with O2 binding site. It can be reversed by illumination with light.Ref: MN Chatterjea Textbook of Medical Biochemistry, 8th Edition